Following are effective against tinea versicolor EXCEPT:
1. Fluconazole
2. Clotrimazole
3. Ketoconazole
4. Griseofulvin

Correct answer: 4. Griseofulvin

Explanation: Ans. d (Griseofulvin). (Ref. KD Tripathi 5th ed. - 719, 722)GRISEOFULVIN# It causes abnormal metaphase configuration & interferes with mitosis.# It does not cause typical metaphase arrest.# It is effective against dermatophytosis and athlete's foot.# It is NOT effective against Tinea versicolor.# Food increasese absorption of griseofulvin Clinical FeaturesEtiologic AgentTreatmentDermatophytosisInflammatory or noninflammatory annular scaly plaques; may have hair loss; groin involvement spares scrotum; hyphae on KOH preparationTrichophyton,Epidermophyton, or Microsporum sp.Topical azoles, systemic griseofulvin, terbinafine, or azolesCandidiasisInflammatory papules and plaques with satellite pustules, frequently in intertriginous areas; may involve scrotum; pseudohyphae on KOH preparationCandida albicans and other Candida speciesTopical nystatin or azoles; systemic azoles for resistant diseaseTinea versicolorHyperpigmented or hypopigmented scaly patches on the trunk; characteristic mixture of hyphae and spores on KOH preparation ("spaghetti and meatballs")Malassezia furfurTopical selenium sulfide lotion or azoles